Longest fetal skull diameter is:
1. Mentovertical
2. Submentovertical
3. Submentobregmatic
4. Occipito-frontal

Correct answer: 1. Mentovertical